A mutation in the codon which causes a change in the coded amino acid, is known as:-
1. Mitogenesis
2. Somatic mutation
3. Missense mutation
4. Recombination

Correct answer: 3. Missense mutation

Explanation: Ans. is 'c' Missense mutation .Mutation can be classified as below:Silent mutationThe codon containing the changed base codes for the same amino acid.This is due to degeneracy * of the code.This is very likely to occur if the changed base in the codon occurs at its third nucleotide (Wobble phenomenon *). e.g. UCU is codon for amino acid serine, if third U is changed A, UCA still codes for serine.Missense mutationThe codon containing the changed base codes for a different amino acid.This mistaken (or missense) amino acid, might be acceptable, partially acceptable or unacceptable to functioning of that protein molecule.Acceptable missenseThe change in the amino acid does not alter the function of the protein.Partially acceptableThe change in the amino acid interferes with the normal function of the protein.e.g. Sickle cell anemia.UnacceptableThe change in the amino acid results in totally non-functional protein.Non-sense mutationThe codon containing the changed base may become the termination codon.